Trombiculid mite is the vector of:-
1. Epidemic typhus
2. Endemic typhus
3. Scrub typhus
4. Q-fever

Correct answer: 3. Scrub typhus

Explanation: Disease Agent Vector Reservoir Epidemic typhus Endemic typhus Scrub typhus R. prowazekii R. typhi R. tsutsugamushi Louse Flea Trombiculid mite Humans Rodents Rodents Indian Tick typhus RMSF Rickettsial pox R. conori R. rickettsia R. akari Tick Tick Mite Rodents, dogs Rodents, dogs Mice Q Fever Trench Fever Coxiella burnetiid Bartonella Quintana Nil Louse Cattle, sheep, goat Humans